Cafe au lait macules are seen in
1. Von Reklinghausen's neurofibromatosis
2. Albright's syndrome and Bloom's syndrome
3. All of the above
4. None of the above

Correct answer: 3. All of the above

Explanation: Bloom syndrome' is characterized by a high frequency of breaks and rearrangements in an affected person's chromosomes. The affected person characteristically develops a facial rash after exposure to sun. Other clinical features include a high pitched voice, distinct facial features such as Long, narrow face, micrognathism of mandible, and pigmentation changes of skin with cafe aulait spots.